Antibiotic gramicidin S is derived from ?
1. Bacillus brevis
2. Cl difficle
3. S epidermidis
4. Streptococcus bovis

Correct answer: 1. Bacillus brevis

Explanation: Ans. is'a'i.e., Bacillus brevisGramicidin-s is an antibiotic effective against some Gram positive and Gram negative bacteria as well as some fungi.It is a derivative of gramicidin, produced by the Gram positive bacterium Bacillus brevis.